To restrict X-ray beam which of the following is done:
1. Collimation of beam
2. Increase Kvp
3. Decrease target object distance
4. Use a grid

Correct answer: 1. Collimation of beam